Which of the following reduces oxidative stress except
1. Superoxide dismutase
2. Catalase
3. Glutathione peroxidase
4. Xanthine oxidase

Correct answer: 4. Xanthine oxidase

Explanation: D i.e. Xanthine oxidase